After 28 weeks of gestation true is/are :
1. Viable
2. > 1000 gm
3. Type II pneumocytes present
4. All

Correct answer: 4. All

Explanation: Ans. is a, b and d i.e. Viable: >1000 gm: and Type II pneumocytes present